Which of the following parameters does not change with age?
1. Hematocrit
2. Creatinine Clearance
3. FEV1
4. Stress induced tachycardia

Correct answer: 1. Hematocrit

Explanation: Ref: Pal GK. Cardiac output. In: Textbook of Medical Physiology. Ahuja Publishing House. 2007Explanation:Parameters increased with AgeingBlood pressureFat proportionADHProstateParameters decreased with AgeingLung complianceGlucose toleranceGFRRenal clearanceAcid secretionColonic motilityNo change with AgeingHematocrit